Which of the following drugs inhibit platelelet cyclooxygenase reversibly?
1. Alprostadil
2. Aspirin
3. Ibuprofen
4. Prednisolone

Correct answer: 3. Ibuprofen